Midline incision in abdomen, length of suture required-
1. 4 times the length of incision
2. 3 times the length of incision
3. 2 times the length of incision
4. 5 times the length of incision

Correct answer: 1. 4 times the length of incision

Explanation: Ans. is 'a' i.e., 4 times the length of incision